The causative agent for virulent external ear infection in a diabetic elderly is mostly by
1. Staphylococcus
2. Streptococcus
3. Pseudomonas
4. Hemophilus influenzae

Correct answer: 3. Pseudomonas

Explanation: Pseudomonas aeruginosa is the agent which is responsible for virulent external ear infection in diabetics, mainly Necrotizing otitis externa. (Ref: Textbook of diseases of ENT, PL Dhingra, 7th edition, pg no. 55)